The electrogenic Na/K ATPase plays a critical role in cellular physiology by?
1. Using energy in ATP to extrude 3 Na+ out of cells in exchange for taking two K4 into the cell
2. Using energy in ATP to extrude 3K+ out of cells in exchange for taking Na+ into the cell
3. Using the energy in moving Na+ into the cell or K+ outside the cell to make ATP
4. Using energy in moving Na+ outside of cell or K+ inside the cell to make ATP

Correct answer: 1. Using energy in ATP to extrude 3 Na+ out of cells in exchange for taking two K4 into the cell

Explanation: Ans A Using energy in ATP to extrude 3Na+ out of the cells in exchange to taking two K+ into the cells* Na+K+ ATPase catalyse the hydrolysis of ATP to adenosine diphosphate and uses energy to extrude three Na+ from the cell and take two K+ into the cell for each molecule of ATP hydrolysed.* It is therefore said to have a coupling ratio of 3:2* Its activity is inhibited by Ouabain and related digitalis V glycosides which are used for CHF.* Active transport of sodium and potassium is a major energy consuming process in the body. In body it accounts for 24% of energy utilized by cells and 70% of energy utilized by neurons.Hormones increasing Na-K ATPase activity are* Thyroid hormones* Aldosterone* Insulin